Resuscitation of a neonate with HR < 60/min includes all of the following except:-
1. Chest compression
2. Adrenaline
3. Endotracheal tube intubation
4. None of the above

Correct answer: 4. None of the above